The distinct golden colour in transgenic Golden rice is due to the presence of-
1. Riboflavin
2. b-carotene
3. Vitamin B12
4. Xanthophyll

Correct answer: 2. b-carotene

Explanation: Ans. is 'b' i.e., b-carotene